A 50 yr old male Raju present with occasional dysphagia for solids, regurgitation of food and foul smelling breath. Probable diagnosis is
1. Achalasia cardia
2. Zenkers diverticulum
3. CA esophagus
4. Diabetic gastroparesis

Correct answer: 2. Zenkers diverticulum

Explanation: Ans. is 'b' Zenker's diverticulum Symptoms of Zenker's diverticulumPresenting symptoms include dysphagia associated with the spontaneous regurgitation of undigested, bland material, after interrupting eating or drinking.The dysphagia is occasional when the diverticula gets filled with food. Dysphagia is relieved when the diver- ticulum empties.Other symptoms areHalitosis (foul mouth odour) gurgling noise after eating swelling in the neck aspiration of contents leading to recurrent pneumonia, lung abscessDiagnosis is confirmed by barium swallowIn Achalasia & Ca esophagus, the dysphagia is progressive and not occasional, though regurgitation may be seen in achalasia.Diabetic gastroparesis is a rare disorder leading to motor abnormality of the esophagus.